Foetal parts can be detected by X-ray usually by :
1. 8 weeks
2. 12 weeks
3. 14 weeks
4. 16 weeks

Correct answer: 4. 16 weeks

Explanation: 16 weeks